Upturned Moustache sign or Antler sign is seen in
1. Mitral regurgitation
2. Aortic stenosis
3. Aortic regurgitation
4. Mitral stenosis

Correct answer: 4. Mitral stenosis

Explanation: Mitral stenosis leads to increased left atrial and hence pulmonary venous pressures. The prominence of pulmonary veins on chest X-rays leads to Upturned Moustache sign or Antler sign.